In Radical Nephrectomy the following structures are resected except
1. Para Aortic nodes
2. Bilateral Adrenal glands
3. Ureter till pelvic brim
4. Gerota Fascia

Correct answer: 2. Bilateral Adrenal glands

Explanation: Ipslialateral adernal gland is removed not bilateral.